Scalded skin syndrome is caused by?
1. Staphylococci
2. Pneumococci
3. Streptococci
4. Meningococci

Correct answer: 1. Staphylococci

Explanation: Ans. a (Staphylococci). (Ref. Textbook of Microbiology by Anantanar ay an 6th/183)STAPHYLOCOCCUS AUREUSINTRODUCTION# Coagulase positive# Ferments mannitol# Produces b-hemolysis# Produces golden yellow pigment# Liquifies gelatin# Produces phosphatase# Catalase and DNAase positive# In K tellurite medium it produces black colonies# Phage typing is extremely important in epidemiological study of staphylococcus.Antigenic structures# Capsular ags,# peptidoglycan,# protein A,# clump factor, etc.Toxins# hemolysin,# P-leucocidins,# enterotoxin,# exfoliative toxin (exotoxin).Pathology# Food poisoning - enterotoxin A# Toxic shock syndrome - enterotoxin F, TSS toxin, Type C pyrogenic exotoxin# Staphylococcal scalded skin syndrome - exfoliative toxin# Recurrent staphylococcal infection (furuncle, boils, abscess, impetigo, pemphigus neonatorum, pneumonia with pneumatocele, osteomyelitis).